Pseudo gestational sac is seen in the USG of
1. Missed abortion
2. Ectopic gestation
3. Complete abortion
4. Hematometra

Correct answer: 2. Ectopic gestation

Explanation: Pseudo gestational sac : Irregular in outline Usually, uterus is centrally located No double decidual sign Sac remains empty Seen in ectopic pregnancy Ref: Dutta Obs 9e pg 601.